Which of the following statements about biguanides is NOT true ?
1. Do not stimulate insulin release
2. Decrease hepatic glucose production
3. Renal dysfunction is not a contraindication for their use
4. Can be combined with sulfonylureas

Correct answer: 3. Renal dysfunction is not a contraindication for their use